Progressive lateral translation of the TMJ which occurs at a rate proportional to the forward movement of
1. Non-working condyle
2. Working condyle
3. Both non-working and working condyle
4. None of the above

Correct answer: 1. Non-working condyle